Which is not produced enteroendocrinally
1. Intrinsic factor
2. Secretin
3. Motilin
4. GIP

Correct answer: 1. Intrinsic factor

Explanation: Enteroendocrinal cells are the hormone secreting cells present in the glands or mucosa of the GIT particularly stomach & intestine. The enteroendocrinal cells present in gastric glands are

G cells- secrete gastrin
Enterochromaffin (EC) cells- secrete serotonin
Enterochromaffin like (ECL) cells- secrete histamine